A 14-year old boy presents with histdeg. of frequent nasal bleeding. His Hb was found to be 6.4 g/dL and peripheral smear showed normocytic hypochromic anemia. The most probable diagnosis is:
1. Juvenile nasopharyngeal angiofibroma
2. Hemangioma
3. Antrochonal polyp
4. Carcinoma of nasopharynx

Correct answer: 1. Juvenile nasopharyngeal angiofibroma

Explanation: Ans. a. Juvenile nasopharyngeal angiofibroma A 14-year-old boy presents with history of frequent nasal bleeding. His Hb was found to be 6.4 g/dL and peripheral smear showed normocytic hypochromic anemia. The most probable diagnosis is juvenile nasopharyngeal angiofibroma